Facial nerve palsy can be caused by -
1. Cholesteatoma
2. Multiple sclerosis
3. Mastoidectomy
4. All of the above

Correct answer: 4. All of the above

Explanation: Ans. is 'd' i.e., Ail of the above Causes of facial paralysis1. Central :-Brain abscess, pontine glioma, Polio, multiple sclerosis2. Intracranial part (cerebellopontine angle) :- Acoustic neuroma, meningioma, congenital cholesteatoma, metastatic carcinoma, meningitis3. Intratemporal part:-Idiopathic :- Bell's palsy, Melkersson's syndromeInfections:- ASOM, CSOM, Herpes zoster oticus, malignant otitis externaTrauma:- Surgical (mastoidectomy, stapedectomy), accidental (fractures of temporal bone)Neoplasms :- Malignancies of external and middle ear, glomus jugular, facial nerve neuroma, metastasis (from breast, lung etc).4. Extracranial part :- Malignancies or surgery or injury to parotid gland5. Systemic diseases :- Diabetes, hypothyroidism, uremia, PAN, Sarcoidosis (Heerfordt's syndrome), leprosy, leukaemia, demyelinating disease